True about palmar arch is
1. Deep palmar arch is formed by ulnar artery and deep palmar branch of radial artery
2. Superficial palmar arch is formed by Radial artery and palmar branch of ulnar artery
3. Superficial palmar branch is formed by ulnar artery and radial artery
4. Deep palmar arch is formed by radial artery and deep palmar branch of  ulnar artery

Correct answer: 4. Deep palmar arch is formed by radial artery and deep palmar branch of  ulnar artery

Explanation: Deep palmar arch is formed by radial artery and deep palmar branch of  ulnar artery.
Superficial palmar branch is formed by uinar artery and palmar branch of radial artery.